Differential media is ?
1. Nutrient agar
2. Chocolate agar
3. MacConkey's agar
4. Tetrathionate broth

Correct answer: 3. MacConkey's agar

Explanation: Ans. is 'c' i.e., MacConkey's agar Differential media A medium has substances which bring out different characteristics of bacteria and thus helping to distinguish between them. Example - MacConkey's medium. Remember MacConkey's medium acts both as indicator and differential media.